Crocodile flesh burn -
1. Explosive injury
2. Lightning injury
3. Electrical injury
4. Gunshot injury

Correct answer: 3. Electrical injury

Explanation: Ans. is 'c' i.e. Electric injury High voltage current may cause burns over a large area of skin (around entery wound) Crocodile skin lesion.